GLUT 4 is present in -
1. Endothelium
2. Liver
3. Cardiac muscle
4. Lens

Correct answer: 3. Cardiac muscle

Explanation: Ans. is 'c' i.e., Cardiac muscle* GLUT4 transporters mediate insulin dependent glucose uptake in skeletal muscle, cardiac muscle and adipose tissue